Infection of CNS spreads to inner ear through
1. Cochlear aqueduct
2. Endolymphatic sac
3. Vestibular aqueduct
4. Hyrtle fissure

Correct answer: 1. Cochlear aqueduct

Explanation: The scala tympani is closed by a secondary tympanic membrane. It is also connected with subarachnoid space through aqueduct of cochlea Reference: Dhingra 6th edition.